If the tooth has not erupted to the line of occlusion it is called:
1. Supraversion
2. Torsiversion
3. Rotated
4. Infraversion

Correct answer: 4. Infraversion